The pathophysiology of Lacunar infarcts are:
1. Middle carotid artery involvement
2. Emboli to anterior circulation
3. Large vessel thrombosis
4. Lipohyalinosis of penetrating arteries

Correct answer: 4. Lipohyalinosis of penetrating arteries

Explanation: The term lacunar infarction refers to infarction following atherothrombotic or lipohyalinotic occlusion of a small artery (30-300 m) in the brain. The arteries comprising the circle of Willis, the basilar and vertebral arteries all give rise to 30- to 300-m branches that penetrate the deep gray and white matter of the cerebrum or brainstem. Each of these small branches can occlude either by atherothrombotic disease at its origin or by the development of lipohyalinotic thickening. Thrombosis of these vessels causes small infarcts that are referred to as lacunes. These infarcts range in size from 3 mm to 2 cm in diameter. Hypertension and age are the principal risk factors. Ref: Harrison's Internal Medicine, 18th Edition, Page 3271, 3276